"Tophus" is the pathognomic lesion of which of the following condition -
1. Multiple myeloma
2. Cystinosis
3. Gout
4. Bale's disease

Correct answer: 3. Gout

Explanation: . Gout